Which of the following is not a treatment method for fissure in ano?
1. Sitz bath
2. Botox injection
3. Diltiaem gel
4. Seton’s procedure

Correct answer: 4. Seton’s procedure

Explanation: Seton’s procedure is done for fistula in ano.